Which of the following represents the earliest ECG changes in a patient with Hypokalemia?
1. Pseudo-P-Pulmonale
2. Flattening of T wave
3. Development of U wave
4. Fusion of TU waves

Correct answer: 2. Flattening of T wave

Explanation: Flattening of T wave typically is the earliest change in Hypokalemia. Sequential ECG changes of Hypokalemia: A Normal QRST complex B Flattening of the T wave typically is the earliest change in Hypokalemia C ST-T wave flattening with slight ST depression is often followed by development of a 'U' wave D E As a hypokalemia progresses, ST depression is more noticeable and the U wave increases in amplitude until ultimately the U wave oveakes the T wave F Fusion of T-U and prolonged QU interval. Fusion of T-U waves makes distinguishing between T wave and U wave impossible. Hypokalemia may also present with an apparently prolonged QT interval on ECG. However this apparently prolonged QT interval is in reality the QU interval that mimics a prolonged QT interval due to fusion of T-U waves. Ref: Harrison's 19th edition